In negative staining-
1. The structure to be demonstrated is stained
2. The structure to be demonstrated is not stained
3. The background is not stained
4. The background and structure are stained

Correct answer: 2. The structure to be demonstrated is not stained

Explanation: Negative staining : India ink or Nigrosin are emulsified with the simple or organism to provide a uniformly colored background against which the unstained bacteria stand out in contrast. this is particularly useful in the demonstration of bacteria capsules which do not take simple stains. Very slender bacteria such as spirochetes that are not demonstrable by simple staining methods can be viewed by negative staining Ref :Ananthanarayan & paniker's Textbook of Microbiology9th edition pg no 12